All of the following are causes of vasogenic type of cerebral edema except
1. Tumours
2. Trauma
3. Infections
4. Hydrocephalus

Correct answer: 4. Hydrocephalus

Explanation: Vasogenic edema occurs due to a breakdown of the tight endothelial junctions that make up the blood-brain barrier. This allows intravascular proteins and fluid to penetrate into the parenchymal extracellular space. Some premature babies have bleeding in the brain, which can block the flow of CSF andcause hydrocephalus. Other possible causesof congenital hydrocephalus include: X-linked hydrocephalus - caused by a mutation of the X chromosome Ref ganong's review of medical physiology 25e p277